In villous papilloma of rectum which is lost
1. Na+
2. K+
3. Ca++
4. Cl-

Correct answer: 2. K+

Explanation: Villous adenomas of rectum These have a characteristic frond-like appearance. They may be very large, occupying much of the circumference of the rectum. These tumours have an increased tendency to become malignant. Rarely, the profuse mucus discharge from these tumours, which is rich in potassium, causes electrolyte and fluid losses Ref: Bailey and love 27th edition Pgno : 1326